Blinding can be done to eliminate which type of bias:
1. Berksonian
2. Recall
3. Confounding
4. Interviewers

Correct answer: 4. Interviewers